The term "chroma aspect" in selection of artificial teeth refers to
1. Degree of saturation of hue
2. Intensity of value
3. Both value and hue
4. None of the above

Correct answer: 1. Degree of saturation of hue